Phossy jaw is seen in?
1. White phosphorous
2. Red phosphorous
3. Arsenic
4. Antimony

Correct answer: 1. White phosphorous

Explanation: Ans. is 'a' i.e., White phosphorous o Phossy jaw is caused by chronic phosphorus poisoning.o Toothache is the first symptom which is associated with loosening of teeth, necrosis of gums and osteomyelitis of jaw. Therefore chronic phosphorus poisoning is also known as phossy jaw (or glass jaw).o All phosphorus poisoning are caused by white (yellow) phosphorus (Red phosphorus is nontoxic).